A hypertensive diabetic is having proteinuria, antihypertensive of choice is:
1. Propanolol
2. Clonidine
3. Enalaprilat
4. Alpha methyldopa

Correct answer: 3. Enalaprilat

Explanation: Answer is C (Enalaprilat) The presence of proteinuria in this diabetic patient suggest a diagnosis of diabetic nephropathv. The drugs of choice for management of hypertension in patients with diabetes are ACE inhibitors Enalapril is an ACE inhibitor and the drug of choice for management of hypertension in patients with diabetic nephropathv. ACE inhibitors or Angiotensin blockers should be the first line therapy in hypertensive individuals with type 2 Diabetes. They have no known adverse effect on glucose or lipid metabolism and minimize the development of diabetic nephropathy by reducing renal vascular resistance and renal perfusion pressure- Harrison Indication - Treatment of choice Hypertensive patient with protenuriae - ACE inhibitors or Angiolensin Blocker Hypertensive patient with Diabetese - ACE inhibitors or Angiotensin Blocker Hypertensive patient with diabetic Nephropathye - ACE inhibitor or Angiotensin Blocker ACE inhibitors have become the drug of choice for chronic renal disease whether diabetic or non diabetic in origin.